"Amotivational syndrome" is caused by
1. Cannabis
2. Cocaine
3. Alcohol
4. Diazepam

Correct answer: 1. Cannabis

Explanation: Ans. a (Cannabis) (Ref-Kaplan & Sadock's Synopsis of Psychiatry, Xth/ Chapter 12.5, Pg 420).MARUUANA/AND/CANNABIS# Marijuana is the most commonly used illegal drug in the United States.# Acute intoxication from marijuana and cannabis compounds is related to both the dose of Tetrahydrocanabinol (THC) and the route of administration.# THC is absorbed more rapidly from marijuana smoking than from orally ingested cannabis compounds.# Acute marijuana intoxication usually consists of a subjective perception of relaxation and mild euphoria resembling mild to moderate alcohol intoxication.# This condition is usually accompanied by some impairment in thinking, concentration, and perceptual and psychomotor function. Higher doses of cannabis may produce behavioral effects analogous to severe alcohol intoxication. THC causes a specific "amotivational syndrome."# Often it can be difficult to recognize the signs of marijuana use because most of the signs take place while the individual is under the influence. Marijuana users may show following signs: Rapid, loud talking and bursts of laughter in early stages of intoxication, Sleepy or stuporous in the later stages, Inflammation in whites of eyes; pupils unlikely to be dilated, Odor similar to burnt rope on clothing, Weight gain or loss., etc# Chronic marijuana use has also been reported to increase the risk of psychotic symptoms in individuals with a past history of schizophrenia.Signs and Symptoms of Intoxication and WithdrawalDrugIntoxicationWithdrawalOpioidsCNS depression, nausea, vomiting, constipation, pupillary constriction, seizures, respiratory depression (life-threatening in overdose). Naloxone/naltrexone will block opioid receptors and reverse effects (beware of antagonist clearing before opioid, particularly with long-acting opioids such as methadone).Anxiety, insomnia, anorexia, diaphoresis, dilated pupils, fever, rhinorrhea, piloerection, nausea, stomach cramps, diarrhea, yawning.Extremely uncomfortable, but rarely lifethreatening.AmphetaminesPsychomotor agitation, impaired judgement, tachycardia, pupillary dilation, hypertension, paranoia, angina, hallucination, sudden death.Treat with haloperidol for severe agitation and symptom-targeted medications.Post-use "crash" with hypersomnolence, depression, malaise, severe craving, suicidality.Phencyclidine hydrochloride (PCP)Belligerence, psychosis, violence, impulsiveness, psychomotor agitation, fever, tachycardia, vertical/ horizontal nystagmus, ataxia, delirium. Give benzodiazepines for severe symptoms; otherwise reassure.Recurrence of intoxication symptoms due to reabsorption in the GI tract; sudden onset of severe, random violence.LSDMarked anxiety or depression, delusions visual hallucinations, flashbacks, pupillary dilation. Give benzodiazepines or traditional antipsychotics for severe symptoms. MarijuanaEuphoria, slowed sense of time, impaired judgement, social withdrawal, appetite, dry moth, conjunctival injection, hallucinations, anxiety, paranoia, amotivational syndrome. BarbituratesLow safety margin, respiratory depression.Anxiety, seizures, delirium, lifethreatening cardiovascular collapse.BenzodiazepinesInteractions with alocohol, amnesia, ataxia, somnolence, mild respiratory depression.Rebound anxiety, seizures, tremor, insomnia, hypertension, tachycardia.